Sulfur granules and multiple draining sinuses is a feature of
1. Actinomycosis
2. Tuberculosis
3. Staphylococcal infection
4. Mucormycosis

Correct answer: 1. Actinomycosis